Which among the following is preferred anesthesia for nasal septoplasty?
1. Local infiltration
2. General anesthesia
3. Propofol sedation
4. No anesthesia required.

Correct answer: 2. General anesthesia

Explanation: General anesthesia is often preferred for nasal septoplasty, open nasal fracture reduction & rhinoplasty Reason : Because of the discomfort and incomplete block that may accompany topical anesthesia. During and shortly following induction , use oral airway during face mask ventilation to mitigate the effects of nasal obstruction Procedures like cauterization, polypectomy or turbinectomy in adults can be satisfactorily performed under local anesthesia with sedation